Wheal and flare reaction is what type of hyperstensitivity reaction?
1. Type I
2. Type II
3. Type III
4. Type IV

Correct answer: 1. Type I

Explanation: Ans. a. Type I